Common natural flora of skin are -a) Streptococcusb) Staphylococcus aureusc) Candida albicansd) Bacteroides fragilise) Propionibacterium acnes
1. bcde
2. abcd
3. acde
4. abce

Correct answer: 4. abce